With regard to paranasal sinuses, true is
1. The maxillary sinus of the newborn is relatively large compared to that of the adult
2. The mucous membrane of the maxillary sinus and the upper premolar teeth have the same nerve supply
3. The frontal, spheroidal, maxillary and anterior ethmoidal sinuses drain into the middle meatus
4. The spheroidal sinuses are supplied by anterior ethmoidal nerves

Correct answer: 2. The mucous membrane of the maxillary sinus and the upper premolar teeth have the same nerve supply

Explanation: Paranasal sinuses are rudimentary in newborn. Sphenoid sinus drains into sphenoethmoidal recess and not into middle meatus. Sphenoid sinus is supplied by posterior ethmoidal nerve.